USG is done to visualize all except-
1. Fluid
2. Bile
3. Blood flow
4. Bone

Correct answer: 4. Bone

Explanation: Ans. is 'd' i.e., BoneStructures on USGo Regions of body distal to highly attenuating structures, such as bone or gas, appear dark on image because of shadowing As most of the sound beams are reflected by highly attenuating structures, little is available for imaging of deeper structures. It is referred to as Acoustic shadowing. Acoustic shadowing is produced by bone, calculus, and air (gas).o On the other hand, structures deep to low attenuating structures, such as liquid, appear bright Acoustic enhancement. Acoustic enhancement is produced by cyst.